Intraluminal amoebicide of choice is?
1. Metronidazole
2. Diloxanide furoate
3. Chloroquine
4. Tetracycline

Correct answer: 2. Diloxanide furoate

Explanation: Ans. is 'b' i.e., Diloxanide furoate Drug therapy for Amoebiasis 1. Asymptomatic carrier (asymtomatic cyst passers) ---)Diloxanide furoate is the DOC. 2. Invasive amoebiasis (acute colitis, extraintestinal amoebiasis. e.g. liver abscess) Metronidazole or Tinidazole (DOC) Plus Diloxanide furoate. Note - In invasive amebiasis, diloxanide furoate (luminal agent) is given to eradicate E. histolytica from the colon and to prevent carrier (cyst passing) state. ,